Asha scheme is associated with -
1. ICDS
2. Rural health mission
3. 20 points programme
4. Minimum needs programme

Correct answer: 2. Rural health mission

Explanation: Ans. is 'b' i.e., Rural health mission